Chandler's Index is used for -
1. Ankylostoma duodenale
2. Ascaris lumbricoides
3. Strongyloides
4. Trichursis trichiura

Correct answer: 1. Ankylostoma duodenale

Explanation: Repeat questions